Bedsore is an example of -
1. Tropical ulcer
2. Trophic ulcer
3. Venous ulcer
4. Post thrombotic ulcer

Correct answer: 2. Trophic ulcer

Explanation: "Trophic ulcers are neurogenic ulcers which are caused by various factors such as impairment of nutrition of the tissues, inadequate blood supply and neurological deficit.
Bed sore is included in the group of "trophic ulcers"